Hydatidiform -- mole is characterized histologically by :
1. Hyaline membrane degeneration
2. Hydropic degeneration of the villous stroma
3. Non proliferation of cytotrophoblast
4. Non proliferation of syncytiotrophoblast

Correct answer: 2. Hydropic degeneration of the villous stroma

Explanation: Hydropic degeneration of the villous stroma